Mycosis fungoides affects:
1. T cells
2. B cells
3. NK cells
4. Keratinocytes

Correct answer: 1. T cells

Explanation: Mycosis fungoides is a cutaneous T cell lymphoma Etio: - Unknown, sometime HTLV I virus- It is MC cutaneous lymphoma Histological findings : 1. Sezary cells - Sezary cell are malignant lymphocytes with increased cell size and convoluted nucleus aka Cerebriform nucleus 2. Epidermo tropism - affection to move towards the epidermis3. Pautrier's microabscess Prognosis: poor (fatal) T/t - Radiotherapy - full skin electron beam therapy